The most appropriate management for maintaining patency of ductus arteriosus in a neonate is –
1. Prostaglandin E1
2. Oxygen
3. Nitric oxide
4. Indomethacin

Correct answer: 1. Prostaglandin E1

Explanation: Ductus arteriosus remains patent in the uterus in the fetal life because of high level of vasodilators especially prostaglandin E2 in the blood.
After birth the prostaglandin synthesis is inhibited by inhibition of cycloxygenase at birth.
So if the patency of ductus arteriosus has to be maintained → prostaglandins should be given.
The drug which is specifically used for this is prostaglandin E1 (Misoprost, Rioprostil)
If the ductus arteriousus has to be closed, prostaglandin synthesis inhibitor - Indomethacin should be given.